A female child presents with developmental delay, nasal obstruction, large head and hearing effect. On examination hepatosplenomegaly was present. ECHO was suggestive of cardiac valve fibrosis. What is the likely diagnosis?
1. Hunter syndrome
2. Hurler syndrome
3. Tay-Sachs disease
4. Gaucher disease

Correct answer: 2. Hurler syndrome

Explanation: The above findings in a female child suggests Hurler syndrome.